Best method to determine age upto 14 years is -
1. Ossification centres
2. Dentition
3. Anthropometry
4. Head circumference

Correct answer: 2. Dentition

Explanation: Among the given options, dentition is the best method for age determination.